The intercanthal distance suggestive of traumatic telecanthus is:
1. 30mm
2. 32mm
3. 25mm
4. 40mm

Correct answer: 4. 40mm